BCR ABL gene mutation is seen in ?
1. CML
2. AML
3. CLL
4. ALL

Correct answer: 1. CML

Explanation: ANSWER: (A) CMLREF: Robbins 7th ed p. 697BCR gene on chromosome 9 gets translocated to ABL gene on chromosome 22 leading to the formation of a fusion protein with a tyrosine kinase activity.